Cyt-P-450 is inhibited by-
1. Phenobarbitone
2. Cimetidine
3. Phenytoin
4. CCI4

Correct answer: 2. Cimetidine

Explanation: Ans. is 'b' i.e., Cimetidine